Structures preserved in Radical Neck Dissection is :
1. Vagus nerve
2. Submandibular gland
3. Sternocleidomastoid
4. Internal Jugular Vein

Correct answer: 1. Vagus nerve

Explanation: Ans. is 'a' i.e., Vagus nerve